Prolonged treatment with INH leads to deficiency of
1. Pyridoxine
2. Thiamine
3. Pantothneic acid
4. Niacin

Correct answer: 1. Pyridoxine

Explanation: Refer Katzung 11/e p825 Isoniazid can cause peripheral neuropathy It is due to deficiency of Pyridoxine